Most essential medicines should be formulated as ?
1. No compound
2. Single compound
3. Multiple compound
4. Fixed dose combinations

Correct answer: 2. Single compound

Explanation: Ans. is 'b' i.e., Single compound